Fatal dose of arsenic trioxide in adults:
1. 20-30 mg
2. 50-60 mg
3. 60-80 mg
4. 120-200 mg

Correct answer: 4. 120-200 mg

Explanation: Ans. 120-200 mg